Which of the following provides best guarantee for sterilization in the heat sterilizer?
1. Using chemical indicator strip or pouch
2. Recording a temperature/pressure readings from sterilizer gauge
3. Using a bacterial spore test
4. Determining the ability of a sterilizer to kill the hepatitis B virus

Correct answer: 3. Using a bacterial spore test